A women is exposed to multiple sex partners has 5 times increased risk for Carcinoma Cervix. The attributable risk is:
1. 20%
2. 50%
3. 80%
4. 100%

Correct answer: 3. 80%

Explanation: ATTRIBUTABLE RISK signifies to what extent the incidence of any disease could be attributed to the risk factor in question. (Also termed as Risk Difference) AR= Incidence In Exposed - Incidence in Unexposed Incidence In Exposed AR helps in estimating to what extend will the incidence of any disease may decrease in a population if the causative agent is removed. Estimated by help of cohort study. In this question, attributable risk can be calculated as follows: Assuming that incidence among unexposed women is x, then incidence among exposed women should be 5x. Therefore, 5x-x = 4/5= 80%. x Ref : Park's Textbook of Preventive and Social Medicine; 18th edition; Page-69